Winter bottom sign is seen in:
1. Toxoplasmosis
2. Trypanosomiasis
3. Cryptosporidiosis
4. Leishmaniasis

Correct answer: 2. Trypanosomiasis

Explanation: Winter bottom sign is enlargement of posterior cervical lymph nodes, seen in sleeping sickness. Sleeping sickness, also known as African trypanosomiasis is caused by Trypanosoma brucei gambiense and Trypanosoma brucei rhodesiense. T. brucei gambiense causes West African sleeping sickness manifested by fever, hepatosplenomegaly and posterior cervical lymphadenopathy with chronic central nervous system invasion. T. brucei rhodesiense causes East African sleeping sickness manifested by fever, early and acute central nervous system invasion, with loss of weight and myocarditis. South American trypanosomiasis (Chagas disease) is caused by T. cruzi